Common differential diagnosis of verrucous carcinoma is:
1. Condylomata lata
2. Condylomata acuminata
3. Adenocarcinoma
4. Tuberculosis

Correct answer: 2. Condylomata acuminata

Explanation: Ans. is b, i.e. Condylomata acuminateRef: Novak 14th/ed, p1412Verrucous carcinoma is variant of squamous cell carcinoma of cervix."Verrucous carcinomas may resemble giant condyloma accuminatum, are locally invasive and rarely metastasize." - Novak 14th/ed, p1412Condylomata accuminata is an STD (due to HPV 6 and HPV 11 infection) and has a verrucous appearance.